Ture about terminal bronchioles are all except ?
1. Absence of cartilage
2. Presence of clara cells
3. Absence of smooth muscles
4. Absence of submucous glands

Correct answer: 3. Absence of smooth muscles

Explanation: Terminal bronchioles contain Clara cells which secrete a protein that lines the small air passages. Alveoli (alveolar sac) are lined by type 1 pneumocytes (95%) and type 2 pneumocytes (5%). Type 2 pneumocytes secrete surfactant and also helps in repair of alveoli after destruction of type- 1 pneumocytes. Pores of Kohn are present in alveolar wall to allow passage of bacteria and exudate between adjacent alveoli.Terminal bronchi contain maximum smooth muscle cells relative to wall thickness.Cartilage is found in larynx, trachea and bronchi but not in bronchioles.Submucosal glands are particularly numerous in medium-sized bronchi and disapperar in distal terminal bronchioles.